The incisal edges and the incisal thirds of facial surfaces of mandibular incisors and canines generally oppose lingual surfaces of maxillary incisor and canines:
1. Within the incisal thirds
2. At the junction of middle and cervical thirds
3. At the linguo cervical ridges
4. Immediately incisal to cingulam

Correct answer: 1. Within the incisal thirds